Which is not a characteristic of a typical cervical vertebra?
1. Has a triangular vertebral canal
2. Has foramen transversarium
3. Superior articular facet is directed backwards and upwards
4. Has a large vertebral body

Correct answer: 4. Has a large vertebral body

Explanation: The body is small and broader from side to side than from before backwards.Its superior surface is concave transversely with upward projecting lips on each side.The anterior border of this surface may be bevelled.The inferior surface is saddle shaped,being convex from side to side and concave from before backwards.Vertebral foramen is larger than the body.It is triangular in shape because the pedicles are directed backwards and laterally.The spine is short and bifid. Ref.BDC volume 3,sixth edition pg 50